A child having H/0 profuse watery diarrhoea not taking oraly and not passed urine since 2 days, what to be given
1. Milk
2. ORS
3. I.V. fluid
4. I.V. antibiotic

Correct answer: 3. I.V. fluid

Explanation: Ans. is 'c' i.e., I.V. fluid Child having history of profuse watery diarrhoea with poor oral intake and not passed urine since 2 days is suffering from diarrhoea with dehydration and probably acute renal failure of pre renal types. Here best choice is intravenous I.V. fluid If I.V. access not possible, then you can give feed through Ryle's tube or intra osseous fluid.